Testing of HLA-B' 5701 is recommended prior to initiation of this antiretroviral agent:-
1. Atazanavir
2. Nelfinavir
3. Raltegravir
4. Abacavir

Correct answer: 4. Abacavir

Explanation: Testing of HLA-B' 5701 is recommended prior to initiation of abacavir. Abacavir if given in a patient who has HLA-B' 5701 causes high risk of MI.